Reversal of shunt is not possible in the natural history of
1. ASD
2. TOF
3. VSD
4. PDA

Correct answer: 2. TOF

Explanation: Eisenmenger's syndrome or reversal of shunt is seen in the ventricular septal defect, atrial septal defect, or less commonly, patent ductus arteriosus. ref - Harrisons internal medicine 20e pg 393,1838